All of the following are the feature of atropine poisoning except:
1. Mydriasis
2. Hallucinations
3. Hypothermia
4. Coma

Correct answer: 3. Hypothermia

Explanation: Atropine poisoning is associated with hyperthermia (not hypothermia).